WHO vaccination strategy of catch-up, keep-up and follow-up has been designed for
1. Measles
2. Chickenpox
3. Polio
4. Diphtheria

Correct answer: 1. Measles